True about Trench fever are all except :-
1. Caused by Bartonella quintana
2. Also called 7 day fever
3. Transmitted by Pediculus corporis
4. Doxycycline is the treatment

Correct answer: 2. Also called 7 day fever

Explanation: Trench fever: Aka 5 days fever, shin-bone fever, wolhynia fever, Quintana fever. Caused by Bartonella quintana. Transmitted by pediculus corporis. Doxycycline is the treatment of choice. Also remember: 3- day fever, sand-fly fever. 7-day fever: leptospirosis.